A survey of 100 healthy adults reveals that 80% have IgG antibodies to Toxoplasma. Which one of the following statements would help to explain this finding?
1. The potential for Toxoplasma infection is widespread and the disease is mild and self-limiting
2. Toxoplasmosis is caused by eating meat; therefore, all meat eaters have had toxoplasmosis
3. A variety of parasitic infections induce the formation of Toxoplasma antibody
4. The test for Toxoplasma antibodies is highly nonspecific

Correct answer: 1. The potential for Toxoplasma infection is widespread and the disease is mild and self-limiting

Explanation: Serologic tests, such as the Sabin-Feldman dye test and indirect immunofluorescence, have shown that a high percentage of the world's population has been infected with Toxoplasma gondii. In adults, clinical toxoplasmosis usually presents as a benign syndrome resembling infectious mononucleosis. However, fetal infections are often severe and associated with hydrocephalus, chorioretinitis, convulsions, and death. Acute toxoplasmosis is best diagnosed by an IgM capture assay. In most patients, specific IgM antibody disappears within 3 to 6 months.